A 48-year-old patient with signs and symptoms of congestive heart failure presented to the emergency department. Following stabilization, he was admitted and started on an inotropic drug 4 months into therapy, the patient started complaining of yellow scotomas and xanthopsia. An ECG was also conducted. What is the mechanism of action of the drug that was started?
1. B1 agonist
2. PDE3 inhibitor
3. Inhibition of Na-K ATPase pump
4. B2 antagonist

Correct answer: 3. Inhibition of Na-K ATPase pump

Explanation: The above ECG shows alternating narrow and broad QRS complex with negative T waves following a broad QRS suggestive of Ventricular BIGEMINY. Ventricular BIGEMINY is a type of VPC characterised by alternate VPC and sinus rhythm. It is also the most common arrhythmia caused by digoxin. Digoxin is an inotropic drug which inhibits Na-K ATPase pump and has been found to cause Visual disturbances in the form of xanthopsia and yellow scotomas.